You are examining an infant and the findings are as follows: Adductor angle - 100 Popliteal angle - 90 Dorsiflexion Angle of foot - 70 Scarf sign - Elbow crosses the middle but doesn't reach the anterior axillary line What is the appropriate age of the infant?
1. 0 - 3 months
2. 4 - 6 months
3. 10 - 12 months
4. 7 - 9 months

Correct answer: 2. 4 - 6 months

Explanation: The normal ranges of angles during infancy are given below: Age Adductor angle Popliteal angle Dorsiflexion angle of foot Scarf sign 0 - 3 400 - 800 800 - 1000 600 - 700 Elbow doesn't cross the midline 4 - 6 700 - 1100 900 - 1200 600 - 700 Elbow crosses midline 7 - 9 1100 - 1400 1100- 1600 600 - 700 Elbow goes beyond anterior axillary line 10 - 12 1400 - 1600 1500 - 1700 600 - 700 Ref: Meharban Singh, Edition 3, Page 74